In an adult, the spinal cord ends at:
1. T12-L1
2. L1-L2
3. L3-L4
4. Si-S2

Correct answer: 2. L1-L2

Explanation: B i.e. Li - L2